Ferruginous bodies are seen in -
1. Silicosis
2. Bysinosis
3. Asbestosis
4. Baggassosis

Correct answer: 3. Asbestosis

Explanation: Ref:Textbook of pathology (Harsh mohan) 6th edition, page no.492 Histologically there is presence of characteristic asbestos bodies in the involved areas . These are asbestos fibres coated with glycoprotein and haemosiderin and appear beaded or dumbbell-shaped. The coating stains positively for Prussian blue reaction.